Propiceptive ﬁbers are not carried by which cranial nerve?
1. Cranial accessory
2. Glossopharyngeal
3. Trigeminal
4. Facial

Correct answer: 1. Cranial accessory

Explanation: The cranial accessory nerve does not have a sensory proprioceptive function. It supplies motor ﬁbers to muscles of larynx via vagus nerve.